Kumar, a 31 yrs old motorcyclist sustained injury over his Right hip joint. X-ray revealed a posterior dislocation of the Right hip joint. The clinical attitude of the affected lower limb will be -
1. External rotation, extension & abduction
2. Internal rotation, flexion & adduction
3. Internal rotation, extension & abduction
4. External rotation, flexion & abduction

Correct answer: 2. Internal rotation, flexion & adduction